Most commonly used blinding technique in epidemiological studies -
1. Single blinding
2. Double blinding
3. Triple blinding
4. None of the above

Correct answer: 2. Double blinding

Explanation: Ans. is 'b>c' i.e., Double blinding > Triple blinding Blindingo The blinding is used to prevent outcomes from being influenced by the bias. Blinding is a basic tool to prevent concious as well subconcious bias in the study.o To blind a person involved in the study (subject, investigator or observer) is to prevent them from knowing certain information about the study.TypeMethodMinimizesSingle blindingDouble blindingStudy subjects are not aware of the treatment they are receivingStudy subjects as well as investigator are not aware of the treatment study subjects are receivingSubject biasSubject bias +Investigator biasTriple blindingStudy subjects, investigator as well as analyzer are not aware of the treatment study subjects are receivingSubject bias +Investigator bias + Analyzer biasComing back to questiono Most commonly used blinding is double blinding, i.e. most of the epidemiological studies are started as double blinded. But more aften than not it becomes triple blinded as more than two people in the study are blinded - for example the statician (analyzer) performing the analysis is often blinded in addition to doctor (investigator) and patient (study subject).